Coenzyme, in an enzymatic reaction usually functions to :
1. Activate the substrate
2. Increase the active sites of apoenzyme
3. Enhance the specificity of aponzyme
4. Accept one of the cleavage products

Correct answer: 4. Accept one of the cleavage products

Explanation: Coenzymes act either a donar or an acceptor of group. They serve as recyclable shuttles - or group transfer agents - that transport many substrates from their point of generation to their point of utilization.